Radiological feature of sarcoidosis -
1. Hilar lymphadenopathy
2. Hilar lymphadenopathy with parenchymal lung changes
3. No Hilar lymphadenopathy with parenchymal lung changes
4. All of the above

Correct answer: 4. All of the above

Explanation: Ans. is 'd' i.e., All of the above o The chest radiographic manifestations of sarcoidosis have been divided into five stages# Stage 0-Normal chest radiograph# Stage 1-Bilateral hilar lymphadenopathy# Stage 2-Bilateral hilar lymphadenopathy writh parenchymal disease.# Stage 3-Only parenchymal disease (no hilar lymphadenopathy)# Stage 4-Pulmonary fibrosis